The rate adjusted to allow for the age distribution of the population is -
1. Perinatal mortality rate
2. Crude mortality rate
3. Fertility rate
4. Age standardized mortality rate

Correct answer: 4. Age standardized mortality rate

Explanation: Age adjustment or age standardization removes the confounding effect of different age structures of two different population and yields a single standardized rate, by which the mortality experience can be compared directly.